Investigation of choice in the early phase of renal transplant
1. IVP
2. Retrograde cystourethrogram
3. Ultrasonogram
4. CT scan

Correct answer: 3. Ultrasonogram

Explanation: • Vascular complications after renal transplantation are low, presents during the first week after transplantation with sudden pain and swelling at the site of the graft.
• Diagnosis is confirmed by Doppler ultrasonography.
• Urgent surgical exploration is indicated and, in most cases, transplant nephrectomy is required.